Depression is associated with all the following except
1. Metformin
2. Corticosteroids
3. Methyldopa
4. Interferon

Correct answer: 1. Metformin

Explanation: (A) Metformin # DRUGS THAT MAY CAUSE DEPRESSION> The following drugs have been reported to cause depression in some patients. Elderly people are particularly at risk. Accutane: This drug treats severe acne. Alcohol Antabuse: Used to treat alcoholism. Anticonvulsants: Used to control epileptic seizures Barbiturates: Central nervous system depressants like drugs used to treat anxiety and to prevent epileptic seizures; are commonly abused; examples are phenobarbital and secobarbital. Benzodiazepines: Central nervous system depressants is often used to treat anxiety and insomnia and to relax muscles Beta-adrenergic blockers: Used in the treatment of various heart problems, including high blood pressure, heart failure, chest pain caused by angina, and certain abnormal heart rhythms and also be used to treat migraine headaches Bromocriptine: Used to treat Parkinson's disease. Calcium-channel blockers: Used to treat high blood pressure, chest pain, congestive heart failure & certain abnormal heart rhythms Estrogens: Used in hormone replacement therapy (HRT) to treat menopause symptoms and to prevent or treat osteoporosis